Structures removed in radical neck dissection are all except
1. Neck lymphnodes
2. Cranial nerve XI
3. Sternocleidomastoid
4. Vagus nerve

Correct answer: 4. Vagus nerve

Explanation: Ans. is 'd' i.e., Vagus nerve Radical neck dissectiono During radical neck dissection, following are removed.a) Lymph nodes of submental, submandibular, upper, middle and lower jugular, and lateral (posterior) trial regions, i.e. Level I to V along with its fibrofatty tissue.b) Stemomastoid muscle.c) Internal jugular vein.d) Spinal accessory nerve.e) Submandibular salivary gland.f) Tail of the parotid.g) Omohyoid muscle.o Following structures are saved -i) Carotid arteryii) Brachial plexus, phrenic nerve, vagus nerve, cervical sympathetic chain, marginal mandibular branch of fa>> lingual and hypoglosal nerve.Modified neck dissectiono It is similar to radical neck dissection but with preservation of one or more following structures -i) Spinal accessory nerveii) Internal j ugular veiniii) Sternocleidomastoid muscleo Thus, both radical neck dissection and modified radical neck dissection remove level I to V neck nodes.